Cancer thyroid having least hematogenous spread:
1. Follicular
2. Papillary
3. Anaplastic
4. Medullary

Correct answer: 2. Papillary

Explanation: Ans. (b) PapillaryRef: Schwartz Page 1543/ 10th edition* More of lymphatic spread and less of hematogenous spread is seen in papillary cancer